Not a feature of congenital rubella classical triad-
1. Cataract
2. CHD
3. Deafness
4. Glaucoma

Correct answer: 4. Glaucoma

Explanation: Ans. is 'd' i.e., Glaucoma Congenital rubella syndromeo Maternal viremia associated with rubella infection during pregnancy may result in infection of the placenta and fetus.o The most important factor in the pathogenicity of rubella virus for the fetus is gestational age at the time of infection. The earlier in pregnancy infection occurs, the greater the damage to the fetus. Maximum damage to fetus occurs when infection is acquired in first trimester ofpregnacy. Infection in early 2nd trimester causes only deafness. Infection after 16 weeks causes no major abnormalities.o The classical triad of congenital rubella consists of cataract, deafness and CHD.o Presence of IgM in blood at birth is diagnostic, as is the persistance of IgG after 6 months of age.Clinical Problems Associated with the congenital rubella syndromeTransient signs/Symptoms (at Birth Only)Permanent signs/Symptoms (Developmental)Bony abnormalitiesCloudy corneaHemolytic anemiaHepatitisHepatosplenomegalyJaundiceLow birth weightLymphadenopathyMeningoencephalitisRubella viral pneumoniaThrombocytopenic purpuraAutismBehavioral disordersCongenital heart disease (patent ductusarteriosus, pulmonary stenosis)CryptorchidismDeafnessDegenerative brain diseaseDiabetes mellitusGlaucomaInguinal herniaIntellectual disabilityMicrocephalyMyopiaPrecocious puberty*RetinopathySeizuresSpastic diplegiaThyroid disorders